Most common cause of vulval hematoma-
1. Episiotomv
2. Vault rupture
3. Lower segment uterine rupture
4. Rupture of paravaginal sinuses

Correct answer: 1. Episiotomv

Explanation: Ans. is 'a' i.e., Episiotomy Causes of vulval hematoma:o Improper haemostasis during repair of vaginal or perineal tear or episiotomy wound (me)o Failure to obliterate the dead space while suturing the vaginal walls.o Rupture of paravaginal plexus spontaneously or due to instrumental injury.